Dumdum bullet false is ?
1. Also called expanding bullet
2. Produce deep penetration
3. Produce large diameter wounds
4. None of the above

Correct answer: 2. Produce deep penetration

Explanation: Ans. is 'b' i.e., Produce deep penetration Dum-dum bullets produce limited penetration: Dum-dum bullet (expanding bullet) : It is a jacketed bullet with is nose tip chiseled or cut off. It is designed to increase in diameter and expand upon striking the target, thus producing larger diameter wounds of limited penetration.